Scabies in infants differs from that in adults and children in that it affects-
1. Webspace
2. Face
3. Genitalia
4. Axilla

Correct answer: 2. Face

Explanation: SCABIES:- Caused by Sarcoptes scabiei var hominis.Clinical features:Itching- generalised, worse at night.this is due to delayed type 4 hypersensitivity reaction. Classic lesion: Burrow-Thread like wavy tunnel in stratum corneum.They appear as serpiginous or S shaped greyish,thread like elevations with a vesicle at one end indicating the presence of mite.seen at interdigital web, feet areola,scrotum. Infantile-in contrast to adults , lesions are found on face,scalp, palms and soles. Scabies in babies vesicles over Palma and soles, scalp and face are involved. Often pyoderma is present Adult have rich hair follicles and pilosebaceous glands that is not a favourable environment for scabies mite. So face and scalp are not involved in adults and older children {Reference: IADVL textbook of dermatology,page 429